All are True about HIV, with chronic osteomyelitis except
1. necrosis absent
2. often bilateral
3. periosteal new bone formation
4. most common cause is staphylococcus aureus

Correct answer: 1. necrosis absent

Explanation: Osteomyelitis in AIDS: Osteomyelitis ,which rarely develops in patients with AIDS, is monomicrobial in 50% of patients and polumicrobial in 35% with remaining showing no organism. Staphylococcus is the most common organism and often it is bilateral. As pathophysiology of osteomyelitis is not altered, all the pathological changes seen in osteomyelitis are seen in AIDS also. Dead necrotic bone periosteal reaction . ref : maheswari 9th ed